Secondary attack rate of chicken pox is around:
1. 60%
2. 70%
3. 80%
4. 90%

Correct answer: 4. 90%

Explanation: Chicken pox is highly contagious with secondary attack rates of nearly 90%. The period of communicability ranges from 1 to 2 days before onset of rash to 4 to 5 days thereafter. Ref: Park 21st edition, page 134